A 28 year old boy met with on accident and sustained severe crush injury. He is most likely to develop:
1. Acute Renal Failure
2. Hypophosphatemia
3. Hypercalcemia
4. Acute Myocardial Infarction

Correct answer: 1. Acute Renal Failure

Explanation: Answer is A (Acute Renal Failure): Acute Renal failure is an established complication of crush syndrome. Acute Renal Failure is usually caused by a combination of hypovolemia and release of nephrotoxic substances into the circulation such as myoglobin Crush syndrome is associated with hvpocalcemia and hvperphosphatemia Note Crush syndrome is associated with Hypocalcemia and not hypercalcemia. of calcium into muscle calls through leaky sarcolemmal membranes.